Banana shaped uterus is seen in
1. Uterus didelphys
2. Arcuate uterus
3. Unicornuate uterus
4. None of the above

Correct answer: 3. Unicornuate uterus

Explanation: Ans. C. Unicornuate uterusBanana shaped uterus refers to the appearance on HSG of Unicornuate uterus and it has only 1 half of the normal uterine cavity which gets opacified with contrast giving a banana shape.This appearance is seen in Unicornuate uterus only or Unicornuate uterus with noncommunicating rudimentary horn. In case of communicating rudimentary horn the appearance may vary. Similar images can be demonstrated on 3D USG or Pelvic MRI also.